Location of pyriform fossa
1. Nasopharynx
2. Oropharynx
3. Laryngeal part of pharynx
4. None

Correct answer: 3. Laryngeal part of pharynx

Explanation: Pyriform fossa lies between quadrate membrane and medial side of thyroid cartilage. It is transversed by internal laryngeal nerve.The pyriform fossa is separated from vallecula by lateral folds of the tongue. Ref: BD Chaurasia's HUMAN ANATOMY, Volume 3.